Ideal imaging modality for Renal arterial hypertension -
1. IVP
2. USG
3. Angiography
4. Renin assay

Correct answer: 3. Angiography